Following are causes of unconjugated hyperbilirubinemia except -
1. Hemolytic anemia
2. Large hematoma
3. Rotor syndrome
4. Megaloblastic anemia

Correct answer: 3. Rotor syndrome